Stylopharyngeus is supplied by:
1. Glossopharyngeal nerve
2. Oculomotor nerve
3. Accessory nerve
4. Abducent nerve

Correct answer: 1. Glossopharyngeal nerve

Explanation: Ans: A (Glossopharyngeal nerve)Ref: Gray's Anatomy, 40th edition, pg.564Explanation:Note:All muscles of pharynx are supplied by cranial accessory nerve through vagus except stylophayngeus which is supplied by glossopharyngeal nerveAll muscles of palate are supplied by cranial accessory nerve except tensor palate which is supplied by mandibular nerveAll the muscles of facial expression are supplied by facial nerve except levator palpebrae superiorisAll muscles of tongue are supplied by hypoglossal except palatoglossus which is supplied by cranial accessory nerveAll muscles of larynx are supplied by recurrent laryrgeal nerve except cricothyroid which is supplied by external laryngeal nerveGonadTestisOvaryGubernacular cordGubernaculum testisOvarian and round ligamentsMesonephros (Wolffian body)Appendix of epididymis (?)Appendices vesiculosae (?)Efferent ductulesEpoophoronLobules of epididymis ParadidymisParoophoronAberrant ductules Mesonephric duct (Wolffian duct)Duct of epididymisDuct of epoophoron (Gartner's duct)Vas deferens Ejaculatory duct Part of bladder and prostatic urethraPart of bladder and urethraParamesonephric (Mullerian) ductAppendix of testisUterine tube UterusProstatic utricleVagina (?)Allantoic ductUrachusUrachusCloaca: Dorsal partRectum and upper part of anal canalRectum and upper part of anal canalVentral partMost of bladderMost of bladder and urethra Part of prostatic urethra Urogenital sinusProstatic urethra distal to utricle Bulbo-urethral glandsGreater vestibular glandsRest of urethra to glansVestibuleGenital foldsVentral penisLabia minoraGenital tuberclePenisClitorisUrethra in glans